Most important mediator of chemotaxis is
1. C3b
2. C5a
3. C5_7
4. C2

Correct answer: 2. C5a

Explanation: ref Robbins 7/e p56 ,9/e p77 C5a is a strong chemoattractant and is involved in the recruitment of inflammatory cells such as neutrophils, eosinophils, monocytes, and T lymphocytes, in activation of phagocytic cells and release of granule-based enzymes and generation of oxidants, all of which may contribute to innate immune functions or tissue ...